A 23-yrs-old woman (gravida 2, para 2) calls her physician 7 days postpartum because she is concerned that she is still having an altered discharge from the vagina. Which of these would be an appropriate advice regarding normal lochia?
1. Normal lochia lasts for 2 days and she should immediately seek medical attention
2. Normal lochia lasts upto 7 days and she should seek medical attention if it persists
3. Her discharge is lochia rubra along with infective secretions from uterus and should take antibiotics
4. Normal lochia usually lasts 10-14 days but may last upto 3-5 weeks

Correct answer: 4. Normal lochia usually lasts 10-14 days but may last upto 3-5 weeks

Explanation: -Lochia is vaginal discharge resulting from sloughing of decidual tissue. -It contains erythrocytes, shedded decidua, epithelial cells and bacteria. -The average duration of lochial discharge ranges from 24 to 36 days Lochia Rubra - 1st to 4th day, Red(mostly blood) Lochia Serosa - 5th to 9th day, yellow(mostly mucus, some RBC) Lochia Alba - 10th to 14th day, white(mostly epithelial cells)